Cord blood gas and pH analysis is done in following circumstances except
1. Low 5-minute APGAR score
2. Maternal thyroid disease
3. Severe fetal growth restriction
4. Antepartum hemorrhage

Correct answer: 4. Antepartum hemorrhage

Explanation: Gynecologists (2012) recommends that cord blood gas and pH analyses be obtained in the following circumstances:

Cesarean delivery for fetal compromise
Low 5-minute Apgar score
Severe fetal-growth restriction
Abnormal fetal heart rate tracing
Maternal thyroid disease
Intrapartum fever
Multifetal gestation.